Maximum pressure in right ventricle seen is
1. 2mmHg
2. 25mmHg
3. 80mmHg
4. 120mmHg

Correct answer: 2. 25mmHg

Explanation: Peak pressures in the left and right ventricles are about 120 and 25 mm Hg, respectively.Reference: Ganong's Review of Medical Physiology; 25th edition; Page no: 538